Trochanteric fracture of the femur is best treated by -
1. Dynamic hip screw
2. Inlay plates
3. Plaster in abduction
4. Plaster in abduction and internal rotation

Correct answer: 1. Dynamic hip screw

Explanation: Dynamic hip screw (DHS) plate is the implant of choice for fixation.
These days proximal femoral nail (PFN) is also commonly used.